Pin code index of nitrous oxide is:
1. 1, 6
2. 2, 5
3. 2, 6
4. 3, 5

Correct answer: 4. 3, 5

Explanation: Ans. D i.e. 3, 5